Which one of the following is not true of folic acid
1. It prevents megaloblastic anaemia
2. Its deficiency is detected by Schilling test
3. Its administration should be started in early pregnancy
4. Its deficiency causes neural tube defect in foetus

Correct answer: 2. Its deficiency is detected by Schilling test